In intubation which drug is used instead of succinylcholine
1. Doxacurium
2. Dantrolene
3. Rocuronium
4. None

Correct answer: 3. Rocuronium

Explanation: Muscle relaxants are used in intubation, which are of two types: Depolarizing muscle relaxant, i.e., Succinylcholine Non-depolarizing muscle relaxant, eg., Rocuronium, vecuronuim, Atracurium, etc